Low doses of aspirin used in myocardial infarction act by -
1. Inhibiting thromboxane synthetase
2. Inhibit cyclooxygenase
3. Releasing EDRF
4. High protein binding activity

Correct answer: 2. Inhibit cyclooxygenase

Explanation: Ans. is 'b' i.e., Inhibit cyclooxygenase Aspirin (in low doses) ---> inhibits synthesis of TXA2 by inhibiting the enzyme cycloxygenase So that immediate precursor (prostaglandins) of TXA2 are not synthesized. o Ticlopidine, clopidogrel -4 they block ADP mediated cAMP inactivation.